The best test for GFR is with
1. Inulin
2. Hippuric acid
3. Creatinine
4. PAH

Correct answer: 1. Inulin

Explanation: Properties of Inulin
-        Easily filtered by kidney
-        Not absorbed by kidney
-        Not secreted by kidney
-        Not metabolized by kidney
-        Not synthesized by kidney
-        Non-toxic
-        Easily measurable
Thus it is the best substance to use for measurement of GFR.